True statement about Coarctation of the Aorta includes
1. Lower limb pulses are barely palpable or absent
2. Blood pressure is elevated distal to the lesion and reduced proximal to it
3. The condition is twice as common in females as males
4. Hypertrophy of the lower ribs may be seen in older children

Correct answer: 1. Lower limb pulses are barely palpable or absent

Explanation: (A) Lower limb pulses are barely palpable or absent> Coarctation of the aorta, or aortic coarctation, is a congenital condition whereby the aorta narrows in the area where the ductus arteriosus (ligamentum arteriosum after regression) inserts.> Coarctation is about twice as common in boys as it is in girls, it s common in girls who have Turner syndrome.Arterial hypertension in the arms with normal to low blood pressure in the lower extremities is classic.> Poor peripheral pulses in the legs and a weak femoral artery pulse may be found in severe cases.Post-stenotic dilation of the aorta results in a classic 'figure 3 sign' on x-ray.> An untreated coarctation may also result in hypertrophy of the left ventricle.